Antipsychotic with less extra pyramidal side effects -
1. Loxapine
2. Pimozide
3. Quetiapine
4. Resperidone

Correct answer: 3. Quetiapine

Explanation: Ans. is 'c' i.e., Quetiapine o Quetiapine, clozapine, aripiprazole have no (o) extrapyramidal symptoms. o Risperidone may or may not (o/+) have extrapyramidal effect.